A 67-year-old woman with a prosthetic aortic valve develops progressive anemia. Examination of a peripheral blood smear reveals reticulocytosis and schistocytes. What is the appropriate diagnosis?
1. Acanthocytosis
2. Henoch-Schonlein purpura
3. Idiopathic thrombocytopenic purpura
4. Macroangiopathic hemolytic anemia

Correct answer: 4. Macroangiopathic hemolytic anemia

Explanation: - Given features suggests the diagnosis of Macroangiopathic hemolytic anemia Macroangiopathic hemolytic anemia most commonly results from direct erythrocyte trauma due to abnormal vascular surface (e.g., prosthetic heart valve, synthetic vascular graft). Anemia is mild to moderate & is accompanied by an appropriate reticulocyte response. Blood smear examination reveals fragmented red blood cells (schistocytes) and polychromasia. Although microangiopathic hemolytic anemia results in morphologically-similar red blood cells, it reflects changes in small blood vessels.